Action of popliteus muscle ?
1. Medial rotation of femur
2. Lateral rotation of femur
3. Locking of knee
4. Extension of knee

Correct answer: 2. Lateral rotation of femur

Explanation: Ans. is 'b' i.e., Lateral rotation of femur Ponliteus Popliteus is a deep muscle of posterior compartment of leg. Features of popletius are ? Origin Lateral surface of lateral condyle of femur, origin is intracapsular. Outer margin of lateral meniscus of knee. Insertion Posterior surface of shaft of tibia above soleal line. Nerve supply Tibial nerve Action Ulocks knee joint by lateral rotation of femur on tibia prior flexion. Accessory flexor of knee